One of the following statements is NOT true:
1. An Additional Sessions Judge can award any 'punishment authorized by law'
2. An Assistant Sessions Judge can award imprisonment for a term exceeding 10 years
3. Death sentence passed by an Additional Sessions Judge has to be confirmed by the High /Court
4. An Assistant Sessions Judge cannot pass a death sentence

Correct answer: 2. An Assistant Sessions Judge can award imprisonment for a term exceeding 10 years

Explanation: An Assistant Sessions Judge can award imprisonment for a term exceeding 10 years (Sessions court is located at district headquarters. It can pass any sentence authorized by law but a sentence of death must be confirmed by the high court (Sec. 366 CrPC). Assistant Sessions court can pass any sentence except a sentence of death or imprisonment for a term> 10 yrs (Sec. 28 CrPC).)